True about spermatid ?
1. Derived from primary spermatocyte
2. Derived from secondary spermatocyte
3. Undergoes mitotic division
4. Undergoes meiotic division

Correct answer: 2. Derived from secondary spermatocyte

Explanation: Ans. is 'b' i.e., Derived from secondary spermatocyte